Structure seen on the lateral wall of tonsillar fossa is?
1. Facial nerve
2. Glossopharyngeal artery
3. Superior constrictor muscle
4. Palatopharyngeus muscle

Correct answer: 3. Superior constrictor muscle

Explanation: ANSWER: (C) Superior constrictor muscleREF: Gray's anatomy 39th edition page 623-624* A triangular tonsillar fossa (tonsillar sinus) lies on each side of the oropharynx between the diverging palatopharyngeal and palatoglossal arches, and contains the palatine tonsil* This deep, lateral aspect is covered by a layer of fibrous tissue, the tonsillar hemicapsule, separable with ease for most of its extent from the underlying muscular walls of the pharynx which is formed here by the superior constrictor, with styloglossus on its lateral side* Surgical removal of the pharyngeal tonsils is commonly performed to prevent recurrent acute tonsillitis or to treat airway obstruction by hypertrophied or inflamed palatine tonsils. Occasionally the tonsil may be removed to treat an acute peritonsillar abscess, which is a collection of pus between the superior constrictor and the tonsillar hemicapsule.